33 years old alcoholic on ATT presents with increased serum iron increased transferrin saturation. Diagnosis`?
1. Iron deficiency anemia
2. Sideroblastic anemia
3. Megaloblastic anemia
4. Anemia of chronic disease

Correct answer: 2. Sideroblastic anemia